A collection of information in a table has been arranged as satisfied, very satisfied and dissatisfied. Which of the following will be the right term for such information?
1. Interval data
2. Ratio data
3. Nominal data
4. Ordinal data

Correct answer: 4. Ordinal data

Explanation: Ordinal data is that data which has a meaningful arrangement of order but no valuable data or information can be obtained from the order arrangement. For example in the above question, though the data is arranged as satisfied, very satisfied and dissatisfied no information is obtainable as to what is the difference between satisfied and very satisfied and the difference between very satisfied and dissatisfied and so on. Thus this data is a ordinal data. Ref: High-Yield Bio statistics By Anthony N. Glaser; 3rd Edition; Page 4; Statistics for Management and Economics By Gerald Keller; Pages 13 - 16